Deficiency of cortisol causes:
1. Cushing syndrome
2. Graves disease
3. Addison disease
4. Acromegaly

Correct answer: 3. Addison disease

Explanation: Addison’s Disease:
Addison’s disease results from an inability of the adrenal cortices  to  produce  sufficient  adrenocortical  hormones.
In  Addison’s  disease,  either  glucocorticoid  or mineralocorticoid deﬁciency may come ﬁrst, but eventually all patients fail to secrete both classes of corticosteroid.